Following are seen in CRA occlusion except:
1. Gradual loss of vision
2. Headache
3. Sudden loss of vision
4. Retained central vision

Correct answer: 1. Gradual loss of vision

Explanation: A i.e. Gradual loss of vision